According to Hellin's law chances of twins in pregnancy are:
1. 1 in 60
2. 1 in 70
3. 1 in 80
4. 1 in 90

Correct answer: 3. 1 in 80

Explanation: According to Hellin’s rule
The mathematical frequency of multiple pregnancy is:

Twins 1 in 80
Triplets 1 in (80)2
Quadruplets 1 in (80)3 and so on